Tetracycline in children causes:
1. Calcification
2. Missing teeth
3. Discolored teeth
4. Peg teeth

Correct answer: 3. Discolored teeth